All are true about renal circulation except
1. Accounts about 25% of the cardiac output
2. Glomerular capillary hydrostatic pressure is 30mmHg
3. Renal cortical blood flow is more than renal medullary blood flow
4. Autoregulation of RBF is by myogenic mechanism

Correct answer: 2. Glomerular capillary hydrostatic pressure is 30mmHg

Explanation: In a resting adult, the kidneys receive 1.2-1.3 L of blood per minute, or just under 25% of the cardiac output. When the mean systemic arterial pressure is 100 mm Hg, the glomerular capillary pressure is about 45 mm Hg. The main function of the renal cortex is filtration of large volumes of blood through the glomeruli, hence, renal cortical blood flow is relatively great and little oxygen is extracted from the blood. When the kidney is perfused at moderate pressures (90-220 mm Hg in the dog), the renal vascular resistance varies with the pressure so that renal blood flow is relatively constant. Autoregulation occurs by a direct contractile response to stretch of the smooth muscle of the afferent arteriole. NO may also be involved. Maintenance of a relatively constant renal blood flow and GFR is the ability of individual blood vessels to resist stretching during increased arterial pressure, a phenomenon referred to as the myogenic mechanism.